If a patient starts getting convulsions following the use of Lignocaine as local anaesthetic, the Drug of choice for the control of convulsions would be
1. Diazepam
2. Chlorpromazine
3. Scoline
4. Any

Correct answer: 1. Diazepam

Explanation: (A) Diazepam > If a patient starts getting convulsions following the use of Lignocaine as local anaesthetic, the Drug of choice for the cortrol of convulsions is the> diazepam# DIAZEPAM> Relatively lipid soluble, water insoluble; crosses placenta.> Should be administered orally or i.v. as i.v. route is slow, incomplete, erratic.> Elimination half life 20-40 hours. (Enterohepatic recirculation),> Its metabolite N-desmethyldiazepam is pharmacologically active with half life of 100 hours; Age tends to reduce clearance of Diazepam> Complications of Diazepam: i.v. Injection causes high incidence of thrombophlebitis and pain.